In an outbreak of cholera in a village of 2000 population 20 case have occured and 5 have died. Case fatality rate is
1. 1%
2. 0.25%
3. 25%
4. 5%

Correct answer: 3. 25%

Explanation: Case fatality rate = (Total no. of deaths due to a particular case / Total no. of cases due to the same disease) * 100
Here, CFR = (5/20)*100= 25%